Patient having multiple odontogenic cysts, excessive length of bones, hyperexcitability of joints:
1. Ehlers danlos syndrome.
2. Marfan syndrome.
3. Down syndrome.
4. Reiter's syndrome

Correct answer: 2. Marfan syndrome.